The average whey/casein ratio in breast milk is:
1. 60:40:00
2. 80:20:00
3. 0.888888889
4. 40:60

Correct answer: 1. 60:40:00

Explanation: a. 60:40(Ref: Nelson's 20/e p 286-290, Ghai 8/e p 150-161)Human milk contains two types of proteins 60% is: whey and 40% is casein; helps in quick & easy digestion.